Blister formation in burn case is in –
1. Intraepidennal
2. Subepidermal
3. Subdermal
4. Subfascial

Correct answer: 2. Subepidermal